38 weeks primi in early labour with transverse presentation, TOC is:
1. Allow for cervical dilatation
2. Internal podalic version
3. LSCS
4. Forceps

Correct answer: 3. LSCS

Explanation: Elective cesarean section is preferred method of delivery, because of risk of early rupture of membranes and cord prolapse. Ref:Datta Obs 9e pg 372.